Intrinsic factor is secreted by:
1. Parietal cells
2. Chief cells
3. Mucus cells
4. G cells

Correct answer: 1. Parietal cells

Explanation: Ans: A (Parietal cells) Ref: Guyton & Hall, Gastric Secretion, In: Textbook of Medical Physiology, 12th ed, Philadelphia, Saunders, Elsevier 2012, p 777Explanation:* Stomach mucosa has 2 types of tubular glands1. Oxvntic glands (Gastric glands)- secrete hydrochloric acid, pepsinogen, intrinsic factor and mucus.2. Pyloric glands - mucus for protection of the pyloric mucosa from the stomach acid; also secrete the hormone gastrin.Stomach oxyntic gland is composed of three types of cells:1. Mucous neck cells - secrete mainly mucus2. Peptic (or chief) cells - secrete large quantities of pepsinogen3. Parietal (or oxyntic) cells - secrete hydrochloric acid and intrinsic factor {See figure on the next page)Structure of Gastric Glands and Cell Types